True about granulosa cell tumours except :
1. MC malignant tumour of ovary
2. It secretes hormones
3. Associated with endometrial hyperplasia
4. Chemotherapy sensitive

Correct answer: 1. MC malignant tumour of ovary

Explanation: Granulosa Cell Tumours : Granulosa cell tumours secrete oestrogens. Depending on the age of their appearance, they may cause precocious puberty. Menometrorrhagia and episodes of abnormal uterine bleeding (AUB) are not uncommon in women of childbearing age and postmenopausal bleeding in elderly women. Endometrial hyperplasia occurs in 25-50% of patients, and endometrial carcinoma occurs in about 5% of cases. A granulosa cell tumour secretes inhibin, a marker for this tumour. These tumors are sex cord stromal tumors of ovary and are of low grade malignancy. They respond well to both chemotherapy and radiotherapy Reference : Shaw's Textbook of gynaecology, 16thedition, pg no: 524 and 528